Longest Tl/2 among following -
1. Cerivastatin
2. Rosuvastatin
3. Atorvastatin
4. Simvastatin

Correct answer: 2. Rosuvastatin

Explanation: Ans. is 'b' i.e., Rosuvastatin